For thyroglossal cyst M.C. site is -
1. Suprahyoid
2. Subhyoid
3. Foramen caecum
4. Anterior border of sternomastoid

Correct answer: 2. Subhyoid